Quincke's sign in  aortic regurgitation refers to
1. Pulsation of uvula in time with heart beat
2. Prominent retinal artery  pulsation
3. Capillary nail bed pulsation
4. Pulsating liver in time with heart beat

Correct answer: 3. Capillary nail bed pulsation

Explanation: Sign
 Presentation




Becker's sign
Prominent retinal artery pulsation


Corrigan's sign
Prominent carotid pulsation


De Musset's sign
Head nodding in time with the heart beat


Duroziez's sign
Systolic and diastolic murmurs heard over the femoral artery while partially compressing the vessel with the diaphragm of the stethoscope


Gerhardt's sign
Pulsation of the spleen in time with the heart beat


Hill's sign
Higher blood pressure (>20mmHg) in the legs than in the arms.


Landolfi's sign
Rhythmic pupillary pulsation in time with the heart beat.


Lincoln sign
Excessive pulsation in the popliteal artery.


Mayne's sign
A fall in diastolic blood pressure (> 15mm Hg ) on raising the arm above the head


Muller's sign
Pulsation of the uvula in time with the heart beat


Quincke's sign
Prominent capillary nail bed pulsation


Rosenbach's sign
Pulsation of the liver in time with the heart beat


Traube's sign
A double sound heard over the femoral artery while compressing it distally


Ashrafian sign 
Pulsatile pseudo proptosis.


Sherman's sign
An easily palpable dorsalis pedis pulse in a patient over the age of 75 years.